The difference between a typical cervical and thoracic vertebrae is, which of the following:
1. Has a triangular body
2. Has a foramen transversarium
3. Superior articular facet directed backwards & upwards
4. Has a large vertebral body

Correct answer: 2. Has a foramen transversarium

Explanation: The transverse process of cervical vertebrae is pierced by a foramen called foramen transversarium. It is not seen in thoracic and lumbar vertebrae.Ref: Human Anatomy, B D Chaurasia, 4th Edition, Volume 3, Chapter 1, Page 40, 41; Textbook of Anatomy with Colour Atlas, Inderbir Singh, 4th Edition, Chapter 6, Page 84.